One of the following is NOT a protozoal infection
1. Malaria
2. Amoebiasis
3. Trichomoniasis
4. Trichinellosis

Correct answer: 4. Trichinellosis